Which is/are not transport protein (s):
1. Transferrin
2. Collagen
3. Ceruloplasmin
4. Hemoglobin

Correct answer: 2. Collagen

Explanation: Ans: B (Collagen) "Hemoglobin is largely responsible for the transport of oxygen from the lungs to tissue. It also helps to transport CO2 from the tissues to the lungs"- Harper 28th/197"Transport protein: Hb, the transporter of oxygen is a tetrameric protein''- Vasudevan 5th/28"Structural protein: Collagen is the most abundant protein in mammals & the main fibrous component of skin, bone, tendon, cartilage & teeth"- Vasudevan 5th/28Table (Harper 28th/569): Some Functions of Plasma ProteinsTransport or binding proteinsAlbumin (various ligands, including bilirubin, free fatty acids, ions , metals , metheme, steroids, other hormones, and a variety of drugs)Ceruloplasmin (contains Cu2+; albumin probably more important in physiologic transport of Cu2+)Corticosteroid-binding globulin (transoortin) (binds cortisol) Haptoglobin (binds extracorpuscular hemoglobin)Lipoproteins (chylomicrons, VLDL, LDL, HDL)Hemopexin (binds heme)Retinol-binding protein (binds retinol)Sex hormone-binding globulin (binds testosterone, estradiol) Thyroid-binding globulin (binds T4+, T3 Transferrin (transport iron)Transthyretin (formerly prealbumin; binds T4 and forms a complex with retinol-binding protein)Table (Harper 28th/271)'Examples of some important human & animal hemoproteins Protein FunctionProteinFunctionHemoglobinTransport of oxygen in bloodMyoglobinStorage of oxygen in muscleCytochrome Cinvolvement in electron transport chainCytochrome P 450Hydroxvlation of xenobioticsCatalaseDegradation of hydrogen peroxideTryptophan pyrrolaseOxidation of tryptophanPeroxidaseOxidative enzyme